Suprasellar calcification with polyuria seen in ?
1. Langerhan cell histocytosis
2. Medulloblastoma
3. Pineal oma
4. Craniopharyngioma

Correct answer: 4. Craniopharyngioma

Explanation: Ans. is 'd' i.e. Craniopharyngioma A suprasellar calcification is typical of craniopharyngioma Polyuria is d/t diabetes insipidus caused d/t compression by the tumor over pituitary. (Schwartz 7/e p1629 writes -"Clinically, patients with suprasellar tumors typically present with diabetes insipidus, visual difficulties, or endocrinopathy.")